Phase 1 biotransformation includes -
1. Reduction
2. Acetylation
3. Sufate conjugation
4. Methylation

Correct answer: 1. Reduction

Explanation: Ans. is 'a' i.e.. Reduction Types of biotransformation reactionso Biotransformation reactions (metabolism) of drugs can be classified :A. Non-synthetic (phase I) reactionso Metabolism brings about a change in the drug molecule bv :1. Oxidation3. Hydrolysis5. Decyclization2. Reduction4. Cyclization o The new metabolite may retain biological activity or it may be an inactive metabolite.o Oxidation is the most important metabolizing reaction,o The most important enzyme for oxidation reaction is cytochrome P450.B. Synthetic (phase II or conjugation) reactiono Metabolism involves union of the drug with one of several polar (water-soluble ) endogenous molecules that are products of intermediary metabolism, to form a water-soluble conjugate which is readily eliminated by kidney or, if the molecular weight exceeds 300, in the bile,o Phase II metabolism almost invariably terminates biological activity, i.e. metabolites are usually inactive.o Reactions are1. Acetylation2. Glucuronide conjugation3. Glycine conjugation4. Glutathione conjugation5. Sulfate conjugation6. Methylation7. Neucleotide synthesis